Drug of choice for treating schistosoma haematobium is -
1. Metronidazole
2. Praziquantel
3. Pyrantel pamoate
4. None of the above

Correct answer: 2. Praziquantel